Most common cause of death in primary am loidosis is?
1. Respiratory failure
2. Cardiac failure
3. Renal failure
4. Septicemia

Correct answer: 2. Cardiac failure

Explanation: Cardiac failure REF: Harrison's Internal Medicine 17th edition chapter 324. Amyloidosis The kidneys are the most frequently affected organ (80%). Renal amyloidosis is usually manifested by proteinuria, which is often in the nephrotic range and associated with significant hypoalbuminemia and edema or anasarca; rarely, tubular rather than glomerular deposition of amyloid can produce azotemia without significant proteinuria. Cardiac symptoms are the second most common presentation (40%), but cardiac dysfunction is associated with death in 75% of patients.